Acetyl CoA carboxylase enzyme is present in ?
1. Cytosol
2. Mitochondria
3. Nucleus
4. Lysosome

Correct answer: 1. Cytosol

Explanation: Ans. is 'a' i.e., Cytosol This question is slightly different from previous one. The major acetyl CoA carboxylase which is involved in lipogenesis is acetyl CoA Carboxylase-1 (ACC-1). It is a cytosolic enzyme. In general acetyl CoA carboxylase refers to ACC-1. There is one more isoform of acetyl CoA carboxylase, i.e. ACC-2. Which is present in muscle, allowing muscle to regulate b-oxidation. ACC-2 is present in mitochondria.